Graphical representation of frequency distribution curve is
1. Pie chart
2. Bar diagram
3. Histogram
4. Pictogram

Correct answer: 3. Histogram

Explanation: Ref:Park's Textbook of Preventive and Social Medicine 25th Ed